False statement about cleft palate repair is:
1. Hemoglobin should be 10 gram%
2. Weight should be 10 pounds
3. Repaired immediately after birth
4. 2 stage procedure if associated with cleft lip

Correct answer: 3. Repaired immediately after birth

Explanation: Ans. C: Repaired immediately after birth Timing of primary cleft palate procedures: Soft palate alone: One operation at 6 months Soft and hard palate: 2 operations; Soft palate at 6 months and hard palate at 15-18 months